True regarding anthrax is all except ?
1. Caused by insect bite
2. Caused by rubbing of skin
3. Cutaneous type is rare nowadays
4. Pulmonary infection occurs by inhalation

Correct answer: 3. Cutaneous type is rare nowadays

Explanation: Ans. is 'c' i.e., Cutaneous type is rare nowadays Anthrax is a zoonoses caused by Bacillus anthracis, that occurs primarily in herbivores. Humans become infected when B. anthracis spores are introduced into the body by the following routes: a) Contact with infected animals or contaminated animal products b) Insect bites c) Ingestion d) Inhalation In humans anthrax occurs in following forms 1. Cutaneous anthrax Cutaneous anthrax is most common. It follows the entry of infection through the skin. The lesion starts as macule then typically progress through papular and vesicular or pustular stages to the formation of an ulcer with a blackened necrotic eschar. The lesion is painless.* Its called malignant pustule. It is also known as Hide porter's disease. 2. Pulmonary anthrax It is called Wool sorter's disease.* It follows inhalation of dust from infected wool. It causes hemorrhagic pneumonia. 3. Intestinal anthrax It is rare.